Which one of the following is not a pyridoxine dependent disorder -
1. Homocystinuria
2. Methyl-malonic-acidemia
3. Cystathioninuria
4. Xanthurenic aciduria

Correct answer: 2. Methyl-malonic-acidemia

Explanation: Ans. is 'b' i.e., Methyl-malonic acidemiao For methyl malonic acidemia, Vit B1, is given.o I am not sure about option c & d.